True about rhinophyma:
1. Premalignant
2. Common in alcoholics
3. Acne rosacea
4. Fungal etiology

Correct answer: 3. Acne rosacea

Explanation: Rhinophyma is a slow-growing benign tumor which occurs due to hypertrophy of the sebaceous glandsdeg of the tip of the nose.Seen in long standing cases of acne rosacea.Mostly affects men past middle age.Presents as a pink, lobulated mass over the nose.TreatmentParing down the bulk of the tumor with a sharp knife, or carbon dioxide laser or scalpel (dermabraions), and the area is allowed to re-epithelize.Sometimes tumor is completely excised and the raw area is covered with skin graft.